In an ECG the cardiac event corresponding to the ST segment is:
1. Atrial depolarisation
2. Ventricular depolarisation
3. Atrial repolarisation
4. Ventricular repolarisation

Correct answer: 4. Ventricular repolarisation

Explanation: PR - Interval corresponds with atrial depolarisation and conduction through AV node QRS - corresponds with Ventricular depolarisation + atrial repolarisation QT - corresponds with ventricular depolarisation + ventricular repolarisation Ref: Guyton 12th Ed